Kallu, a 22-year-old male had an outing with his friends and developed a fever of 38.50C, diarrhoea and vomiting following eating chicken salad, 24 hours back. Two of his friends developed the same symptoms. The diagnosis is
1. Salmonella enteritis
2. Bacillus cereus
3. Staphylococcus aureus
4. Vibrio cholerae

Correct answer: 1. Salmonella enteritis

Explanation: Salmonella gastroenteritis or food poisoning is generally a zoonotic disease, the source of infections being animal products. It may be caused by any Salmonella called non-typical salmonella. Human infections result from the ingestion of contaminated food. The most frequent source of salmonella poisoning is poultry, meat, milk and milk products. Clinically, the disease develops after a short incubation period of 24 hours or less, with diarrhoea, vomiting, abdominal pain and fever. Ref: Ananthanarayan and Paniker's Textbook of Microbiology, 9th edition; pg no: 300